Cause of essential (Primary) Hypertension is:
1. Excessive sympathetic nervous system activity
2. Renal artery stenosis.
3. Glomerulonephritis.
4. Chronic Renal failure.

Correct answer: 1. Excessive sympathetic nervous system activity